What is the most common cause of death in acromegaly?
1. Obstructive Sleep Apnea
2. Impaired glucose Tolerance
3. Colonic malignancy
4. Cardiovascular causes

Correct answer: 4. Cardiovascular causes

Explanation: Causes of Mortality in Acromegaly: Cardiovascular causes (Leading cause of mortality): CAD, Cardiomyopathy, Arhythmias, LVH, decreased Diastolic function and Hypertension. Cerebrovascular diseases. This is followed by respiratory disease. Colonic polyps are seen in 1/3rd cases and lead to malignancy in future.